Hypersensitivity pneumonitis is/are caused by -
1. Coal worker's pneumoconiosis
2. Bagassosis
3. Silicosis
4. Sarcoidosis

Correct answer: 2. Bagassosis

Explanation: Bagassosis can lead to hypersensitivity pneumonitis,in which the antigen is thermophilic actinomycetes and the source of antigen is "moldy" bagasse (sugarcane).Other examples for HP include bird fancier's lung,farmer's lung,hot tube lung,chemical worker's lung,bird fancier's lung,etc. Reference:Harrison's medicine-18th edition,page no::2117.